Anti HB's Ab indicates-
1. Resistance to Hepatitis B
2. Acute infection
3. Good Prognosis
4. Hepatocellular Carcinoma

Correct answer: 1. Resistance to Hepatitis B

Explanation: Anti Hbs remain very long period. it is a protective antibody REF:MICROBIOLOGY ANANTHA NARAYANAN NINTH EDITION PAGE.546